Which one of the following conditions is associated with an exudative pleural effusion?
1. Cirrhosis
2. Nephrotic syndrome
3. Congestive heart failure
4. Bronchogenic carcinoma

Correct answer: 4. Bronchogenic carcinoma

Explanation: Among the options given bronchogenic carcinoma is associated with exudative effusion. Exudative pleural effusions are distinguished from transudative by measuring the lactate dehydrogenase (LDH) and protein levels in the pleural fluid. Exudative pleural effusion is diagnosed by the presence of one or more of the following criteria: 1. Pleural fluid protein/serum protein >0.5 2. Pleural fluid LDH/serum LDH >0.6 3. Pleural fluid LDH more than two-thirds normal upper limit for serum Ref: Harrison's Internal Medicine, 18th Edition, Chapter 263